The Dane particle is the
1. HBV
2. IgG anti HAV
3. Delta Virus
4. HBC Ag

Correct answer: 1. HBV